Salt pepper fundus is seen in -
1. Congenital Syphilis
2. CRVO
3. Retinopathy of prematurity
4. Ethambutol intoxication

Correct answer: 1. Congenital Syphilis

Explanation: Ans. is 'a' i.e., Congenital Syphilis * Salt and pepper fundus is seen in :# Congenital rubella# Congenital syphilis# Congenital leber amaurosis# Mayous Batten disease# Thioridazine toxicity